Drug of choice for acute severe migraine is:
1. Methysergide
2. Sumatriptan
3. Ergotamine
4. Propranolol

Correct answer: 2. Sumatriptan

Explanation: Drug of choice for mild to moderate attacks of migraine is NSAIDs like paracetamol and aspirin etc. Drug of choice for acute severe migraine are triptans like sumatriptan. Drug of choice for prophylaxis of migraine is propranolol.